Which enzyme joins two substrates?
1. Lyase
2. Ligase
3. Isomerase
4. Synthase

Correct answer: 2. Ligase

Explanation: Ans. is 'b' i.e., LigaseAn enzyme which joins two substrates in an energy dependent process is called ligase.Ligases ligate or bind two compounds together by creating a new chemical bond. A source of energy is required, usually ATP, Example are synthatases, carboxylases.